A population is divided into relevant subgroups and random sample selection is done from each of the subgroups. This is which type of sampling method?
1. Systematic random sampling
2. Stratified random sampling
3. Simple random sampling
4. Cluster sampling

Correct answer: 2. Stratified random sampling

Explanation: - in stratified random sample, the sample is deliberately drawn in a systematic way so that each portion of the sample represents a corresponding strata of the universe. - this method is particularly useful where one is interested in analysing the data by a certain characteristic of the population. Reference : Park's textbook of preventive and social medicine, 23rd edition, pg no:850